Clergyman's knee is?
1. Pre patellar bursitis
2. Infra patellar bursitis
3. Supra patellar bursitis
4. Pre anserine bursitis

Correct answer: 2. Infra patellar bursitis

Explanation: ANSWER: (B) Infra patellar bursitisREF: Keith L Moore 4th ed page 394, Review of Orthopaedics 6th ed by Mark D. Miller, Stephen R. Thompson, Jennifer Hart page 308Indirect repeat Orthopedics 2012 Session 1Infrapatellar bursitis is the inflammation of the infrapatellar bursa, wdiich is located just below the kneecap. It is a common cause of knee pain and swelling among persons whose work involves kneeling on hard surfaces. Depending on the occupation affected it is known by a variety nicknames, most commonly floor layers' knee, but also plumbers' knee, clergyman's knee